Alpha helix and Beta pleated sheet are examples of:
1. Primary structure
2. Secondary structure
3. Tertiary structure
4. Quaternary structure

Correct answer: 2. Secondary structure

Explanation: B i.e. Secondary structure